Cholemicnephrosis seen in -
1. Malaria
2. Addison's disease
3. Hemochromatosis
4. Obstructive jaundice

Correct answer: 4. Obstructive jaundice

Explanation: Ans. is 'd' i.e., Obstructive jaundice Choiemic Nephrosis o Cholemicnephrosis is used to describe the renal failure in patients with obstructive jaundice, particularly after renal transplantation.o Diagnosis is made on light microscopy by presence of typical bilirubin casts.o Altered hemodynamics and bile toxicity to tubular epithelial cells is the probable cause for renal failure in such patients.o Patients usually have hepatorenal syndrome, reduced glomerular filtration rate and increased concentration of bile salts and bilirubin in urine.